Smith's fracture involves which bone?
1. Distal radius
2. Proximal ulna
3. Metatarsal
4. Patella

Correct answer: 1. Distal radius

Explanation: Smith's fracture is the reverse of Colles' fracture. It differs from Colles' fracture in that distal fragment of radius displaces ventrally and tilts ventrally. Treatment is by closed reduction and plaster cast immobilisation for 6 weeks. SMITH'S FRACTURE (Reverse of Colles' Fracture) This uncommon fracture is seen in adults and in elderly people. Its importance lies in differentiating it from the commoner Colles' fracture which occurs at the same site. It differs from Colles' fracture in that the distal fragment displaces ventrally and tilts ventrally. Treatment is by closed reduction and plaster cast immobilisation for 6 weeks. Complications are similar to those in Colles' fracture. Ref: Essential Orthopaedics, Maheswari & Mhaskar, 9th ed, Page no: 114